Which drug do not causes rhinits?
1. ACE inhibitors
2. Glucocorticoid
3. Reserpine
4. Prazosin

Correct answer: 2. Glucocorticoid

Explanation: Ans. is 'b' i.e., Glucocorticoid.Ref: Head eb Neck Surgery - otolaryngology, Vol. I edited by Byron l. Bailey, Jonas T. johnson, Shawn D. Newlands 4tu/e p. 355Important drugs causing rhinitis are :-AspirinHydralazineBeta - blockersClonidineReserpineGabapentinMethyldopaACE inhibitorsCocaine